Cremasteric artery is a branch of?
1. Internal pudendal artery
2. External pudendal artery
3. Inferior epigastric artery
4. Superior epigastric artery

Correct answer: 3. Inferior epigastric artery

Explanation: Ans. is 'c' i.e., Inferior epigastric arteryCremasteric artery is a branch of inferior epigastric artery, which in turn is a branch of external iliac artery.